Which one of the following is lyase enzyme?
1. Hexokinase
2. Pyruvate kinase
3. Proponyl CoA carboxylase
4. Aldolase B

Correct answer: 4. Aldolase B

Explanation: Ref: Multiple Sources, Lippineott's, Harpers and Biochemistry for Students By Malhotra, 12th editionExplanation:(See table on the next page) Classes of Enzymes (International Union of Biochemistry)ClassFeatureExampleTransferaseCatalyze transfer of C- N-. P-containing group from one substrate to another* Aspartate and Alanine transaminase (AST/ALTl* Hexukinase* Hexose-1-P04 uridyl transferase* Phosphoglucomutase* Ornithine carbamoyl transferase* Serine hydroxyl methyl transferase (SHT)OxidoreductaseCatalyze oxidation reduction reactions* Alcohol dehydrogenase* Lactate dehydrogenase* Glucose-6-PO dehydrogenase* Glutathione reductase* Xanthine oxidase* TyrosinaseHydrolaseCatalyze hydrolysis-cleavage of bonds by addition of water* Pepsin* Trypsin* Esterases* Glucose-6-phosphatase* CreaseIsomeraseInvolved In isomerization of substrate-catalyze race mi/at ion of optical or geometric isomers* Triose phosphate isomerase* Retinal isomerase* UDP-glucose epimerase* Kacemase* Methyl nialonvi Co A mutaseLyaseCatalyze cleavage of C-C. C-S and C-N bonds and facilitate removal of small molecules from a large substrate* F unia rase* Aldolase* Hydratase* Argino-succinase* Histidine decarboxylase* Pyruvate decarboxylaseLigaseCatalyze formation of bonds between carbon and O. S, N coupled tti hydrolysis of high energy phosphates and involved in joining together two substrates* DNA ligase* Pyruvate carboxylase* Alanyl t-RNA synthetase* Glutamine synthetase